For a neonate at 48 hours of birth with a history of non-passage of meconium, next step in evaluation will be:
1. Sweat chloride level
2. CFTR mutation analysis
3. Lower GI study
4. Manometry

Correct answer: 3. Lower GI study

Explanation: Ans. c. Lower GI study